Effects of estrogen are all of the following, except:
1. Reduces HDL
2. Reduces LDL
3. Increases Triglycerides
4. Increases HDL

Correct answer: 1. Reduces HDL

Explanation: Estrogens increase HDL cholesterol. Ref: KDT 5th Edition, Pages 274-9; KDT 6th Edition, Page 229; Harrison's Principles of Internal Medicine, 16th Edition, Chapter 30; Novak's Textbook of Gynecology, 14th Edition, Pages 272-73